All of the following are true about dental abnormalities except:
1. Dental cyst develops at the apices of caries tooth with necrotic pulp
2. Dentigerous cyst contain unerupted teeth
3. Dentigerous cyst is most common in upper 3rd molars
4. Ameloblastoma is most common odontogenic tumour

Correct answer: 3. Dentigerous cyst is most common in upper 3rd molars

Explanation: Dental Cyst Dentigerous Cyst Ameloblastoma Develops at the apices of cariestooth with necrotic pulp More common in upper Jaw X-rays shows: Circular radioluscent area in relation to root of normally erupted tooth Margins may be Sclerotic Arises from unerupted teeth MC in lower 3rd molars Cyst also contains uneruptd teeth X-rays shows: Unilocular cyst or soap bubble appearance Benign neoplasm arising from ameloblas (odontogenic epithellum) MC odontogenic tumor Most ameloblastoma occure in mandible near angle and ramus of mandible